All of the following drugs cause hirsutism except
1. Phenytoin
2. Minoxidil
3. Corticosteroids
4. Heparin

Correct answer: 4. Heparin

Explanation: Ans. (D) Heparin(Ref: Harrison 17th/e p01)Drugs causing hirsutism:AndrogensOral contraceptives containing androgenic progestinsMinoxidilPhenytoinDiazoxideCyclosporine (Not tacrolimus)Heparin produces transient and reversible alopecia.